A lesion of the ventrolateral part of the spinal cord will lead to the loss (below the level of the lesion) of
1. Pain sensation on the ipsilateral side
2. Proprioception on the contralateral side
3. Pain sensation on the contralateral side
4. Proprioception on the ipsilateral side

Correct answer: 3. Pain sensation on the contralateral side

Explanation: Sensations carried by the posterior column
-        Proprioception, Vibration, kinesthesia, fine touch.
Sensations carried by the anterolateral column
-        Temperature, pain (lateral) and crude touch (anterior)
Crossing over of fibers occurs in case of the anterolateral system.